Aggrecan in:
1. Receptor over platelets
2. A molecule present in osteoid tissue
3. Granules in leukocytes
4. Important component of cartilage

Correct answer: 4. Important component of cartilage

Explanation: D i.e. Important component of cartilage